Which is not a Vapour phase disinfectants
1. Ethylene oxide
2. Thiomersal
3. Formaldehyde gas
4. Betapropiolactone

Correct answer: 2. Thiomersal

Explanation: Vapour phase disinfectants - Ethylene oxide, Formaldehyde gas, BPL.